Yolk sac is derived from
1. Hypoblasts
2. Epiblasts
3. Syncytiotrophoblast
4. None

Correct answer: 1. Hypoblasts

Explanation: Ans. is 'a' i.e., HypoblastsThe yolk sac develops from hypoblast cells. By the end of 2nd week the lower half of primary yalk sac pinches off to form definitive yolk sac, while a second wave of hypoblast cells form inner lining of definitive yolk sac.